Who are NOT benificaiaries of ICDS scheme -
1. Adoslescent females
2. School going children
3. Pregnant females
4. Lactating females

Correct answer: 2. School going children

Explanation: parks textbook of preventive and social medicine 23rd edition * major beneficiaries of ICDS are pregnant women,nursing mothers,other women 15-45years,children less than 3years,children in age group 3-6years,adolescent girls11-18years.